Of the light produced by quartz — tungsten -halogen, only a small percentage is suitable for curing composite resin material and most is converted into heat. How much percentage of this light is useful for curing?
1. 0.50%
2. 5%
3. 10%
4. 50%

Correct answer: 1. 0.50%